Blood Tellurite media is used for:
1. Mycobacterium tuberculosis
2. Corynebacterium diphtheriae
3. Mycoplasma pneumoniae
4. Yersinia pestis

Correct answer: 2. Corynebacterium diphtheriae

Explanation: Ans. B i.e. Corynebacterium diphtheriae Identification of C. diphtheriae A Gram stain is performed to show gram-positive, highly pleomorphic organisms with no particular arrangement. Special stains like Alberts's stain and Ponder's stain are used to demonstrate the metachromatic granules formed in the polar regions. The granules are called as polar granules, Babes Ernst Granules, Volutin, etc. An enrichment medium, such as Loffler's medium, is used to preferentially grow C. diptheriae. After that, use a differential plate known as tellurite agar, which allows all Corynebacteria (including C. diphtheriae) to reduce tellurite to metallic tellurium. The tellurite reduction is colormetrically indicated by brown colonies for most Cornyebacteria species or by a black halo around the C. diphtheriae colonies.